Types of Growth Charts used by Anganwadi workers (ICDS) for growth monitoring
1. NCHS
2. IAP
3. MGRS
4. CDC

Correct answer: 3. MGRS

Explanation: ICDS GROWTH CHART: In NRHM and ICDS, Government of India has adopted WHO Child Growth Standards (also known as MGRS 'Multicentre Growth Reference Study' Standards) Normal zone - Road of health Below -2 SD: Malnutrition Below -3 SD: Severe Malnutrition